If in a locality API is more than 2, the following is done –
1. 2 round of DDT per year with active surveillance
2. 2 rounds of DDT per year with active and passive surveillance
3. Only active and passive surveillance
4. 2 rounds of DDT per year only

Correct answer: 2. 2 rounds of DDT per year with active and passive surveillance